Which of the following is true statement regarding human eye
1. Cornea cut off wavelength upto 400 nm
2. Normal eye medium will permit wavelength of 400- 700 nm
3. Even after cataract surgery UV rays are not penetrated
4. Lens will not reflect light

Correct answer: 2. Normal eye medium will permit wavelength of 400- 700 nm

Explanation: Ans. b (normal rye medium will permit wavelength of 400- 700 ntn) Ref: yanoff 3rd ed p 383, internet sitesCornea and lens act as special filters absorbing the more energetic wavelength of the electromagnetic spectrum that can damage the retina. Cornea absorbs wavelength below 295nm where as lens absorbs strongly in the long U V B (300 - 315) and most of the UV A (315 - 400) wave-lengths. Eye light transmittance is relatively high in the 400nm-700nm range.